Wernicke's encephalopaty involves which part of CNS -a) Mammillary bodyb) Thalamusc) Frontal lobed) Arcuate fasciculus
1. ac
2. a
3. ab
4. bc

Correct answer: 3. ab